Max Joseph's space is a histopathological feature of
1. Psoriasis vulgaris
2. Lichen planus
3. Pityriasis rosea
4. Parapsoriasis

Correct answer: 2. Lichen planus

Explanation: Max Joseph's space is a characteristic histological finding seen in lichen planus. These are small clefts formed due to dermoepidermal separation and basal cell degeneration character histopathology in lichen planus basal cell degeneration interface lymphocyte infiltration compact hyperkeratosis wedge shaped hypergranulosis- wickham straie saw tooth appearence Civattee bodies/ hyaline bodies-apoptosis basal cells. IADVL textbook of dermatology page 1078